One of the following conditions is not associated with clubbing.
1. Primary biliary cirrhosis
2. Chronic bronchitis
3. Cryptogenic fibrosing alveolitis
4. Central bronchiectasis

Correct answer: 2. Chronic bronchitis

Explanation: Ans. is 'b' chronic bronchitis